All of the following are MRI features of Mesial temporal sclerosis, except:
1. Atrophy of fornix
2. Atrophy of hippocampus
3. Blurring of Grey white matter junction of ipsilateral temporal lobe
4. None of the above

Correct answer: 4. None of the above

Explanation: Classic imaging findings in Mesial temporal sclerosis are hippocampal atrophy, increased T2 signal and loss or distortion of adjacent white matter. Secondary MRI findings include (ipsilateral to side of MTS) ? Temporal horn dilatation ? Loss of hippocampal internal architecture ? Atrophy of temporal afferent and efferent pathways ? Decreased hippocampal signal on T1 weighted images ? Poor parahippocampal grey white matter differentiation ? Narrowed collateral white matter in adjacent para hippocampal gyrus Ref: Brain Imaging Case Review Series By Arora, Page 152; Atlas of Epilepsies By C. P. Panayiotopoulos, Page 795; Pediatric Epilepsy: Diagnosis and Therapy By John M. Pellock, 3rd Edition, Page 43